In root, the inner cell layer of root sheath induce the formation of:
1. Coronal Dentin.
2. Ameloblasts.
3. Enamel.
4. Odontoblasts.

Correct answer: 4. Odontoblasts.

Explanation: The inner cell layer of the root sheath forms from the inner enamel epithelium or ameloblasts in the crown, and enamel is produced. In the root, these cells induce odontoblasts of the dental papilla to differentiate and form dentin. The root sheath originates at the point that.